What is the action of oxytocin in small doses, when used as intravenous infusion in a full term uterus ?
1. Relaxes uterus
2. Induces uterine contractions
3. Causes cervical dilatation
4. All

Correct answer: 2. Induces uterine contractions